Ugly duckling stage coincides with transitional phase
1. 1st transitional phase
2. Inter transitional
3. 2nd transitional
4. All of the above

Correct answer: 3. 2nd transitional